Lupus vulgaris
1. Skin tuberculosis
2. Pulmonary tuberculosis
3. Lymph- node tuberculosis
4. Kidney tuberculosis

Correct answer: 1. Skin tuberculosis

Explanation: A. i.e. (Skin tuberculosis) (46 - Roxburg 17th)LUPUS VULGARIS - Slowly progressive granulomatous plaque on the skin caused by the tubercle bacillus* It often has a thickenedpsoriasi form appearance but blanching with a glass microscope slide (diascopy) will reveal grey - green foci ("apple jelly nodule**") due to the underlying granulomatous inflammation* Lupus pernio - is a particular type of sarcoidosis that involves the tip of nose & earlobes with lesions that are violaceous in colour* Spina ventosa - Tuberculosis of bone in which bone is expanded & the cortex thins eg digits*** Scrofuloderma - Tuberculosis first develops in a lymph node or bone producing a swelling and subsequently ruptures through the overlying skin* The classic renal manifestation of tuberculosis is the presence of microscopic pyuria with a sterile urine culture or "sterile pyuria" (826 - CMDT - 09)